Members of southeast Asia of WHO are
1. Japan
2. Afganistan
3. India
4. Pakistan

Correct answer: 3. India

Explanation: Ans. is 'c' i.e., India